An eight year old boy presents with multiple umbilicated pearly white papules on trunk & face following a trivial infection. Diagnosis is :
1. Molluscum Contagiosum
2. Chicken Pox
3. Herpes zoster
4. Dermatophytosis

Correct answer: 1. Molluscum Contagiosum

Explanation: A i.e. Molluscum Contagiosum